H pylori is associated with of the follow ing except-
1. Increased risk of peptic ulcer disease
2. Increased risk of gastric lymphoma
3. Increased risk of antral gastric carcinoma
4. Increased risk of adenocarcinoma of esophagus

Correct answer: 4. Increased risk of adenocarcinoma of esophagus

Explanation: Ans. is 'd' i.e., Increased risk of adenocarcinoma of esophagus Diseases associated with H. Pylori infectionDuodenal ulcerGastric ulcerChronic superficial gastritisChronic atrophic gastritisGastric adenocarcinomaLymphoproliferative disease (MALT)Gastroesophageal reflux disease